The most frequent cause of scalded skin syndrome is:
1. Staphylococci
2. Pneumococci
3. Enterococci
4. Meningococci

Correct answer: 1. Staphylococci

Explanation: Ans. is 'a' i.e., Straphylococci(Ref: Harrison, 18th/e, p. 1164-1167; Ananthanarayan, 9th/e, p. 199)* Staphylococcal scalded skin syndrome (SSSS) is caused by an exfoliative toxin produced by roughly 5% of Staphylococcus aureus. As the syndrome evolves, an initial infection occurs, commonly at a site such as the oral or nasal cavities, throat, or umbilicus.